Full axial view is also known as:​
1. Jug handle view
2. Reverse towne's view
3. PA view of skull
4. Lateral skull

Correct answer: 1. Jug handle view

Explanation: Submentovertex (SMV or Full Axial) Projection
Areas visualized:
Also referred to as the ‘jug handle’ view, the submentovertex allows visualization of the base of the cranium including the occipital bone, the sphenoid and ethmoid sinuses, petrous ridge and mastoid sinuses of the temporal bone. Facial structures imaged include the hard palate, zygomatic arch and mandible including the condyles.
Ghom's Textbook of oral medicine and Oral radiology,